Trendelenburg sign is due to paralysis of -
1. Gluteusmaximus
2. Gluteusmedius
3. Pyriformis
4. Obturatorext

Correct answer: 2. Gluteusmedius

Explanation: Ans. is 'b' i.e., Gluteus medius Trendelenburg testo It measures the stability-' of hip joint when a person stands on one foot writh the opposite foot raised from the ground, as in walking. It depends on the following :Normal functioning of gluteus medius and minimusHead of femur must be located normally within the acetabulumNeck of femur must be intact with a normal neck-shaft angle (adults -1250, children - 1400)o Positive Trendelenburg's sign - the pelvis sags downward on unsupported side svhen a person is standing on one leg if any of these factors is defective. Person show's dipping or lurching or Trendelenburg gait.Unilateral congenital dislocation of hip - lurching gait.Bilateral congenital dislocation of hip -wadding gait.o Normally, when the body weight is supported on one limb, gluteus medius and minimus of the supported side raise the opposite and unsupported side of pelvis. Thus, the test is positive in paralysis of gluteus medius and minimus, which are supplied by superior gluteal nerve.